Human insulin as compared to pork/beef insulin is:
1. More potent
2. Rapidly absorbed
3. Longer acting
4. More antigenic

Correct answer: 2. Rapidly absorbed

Explanation: (Ref: KDT 6/e p261) Human insulin has rapid absorption and shorter duration of action than pork beef insulin.